Which of the following statements is not true for FISH technique
1. It is a very rapid technique
2. Interface FISH needs rapidly multiplying cells
3. Even microdeletions can be identified
4. Can detect circulating tumor cells

Correct answer: 2. Interface FISH needs rapidly multiplying cells

Explanation: Interface FISH/Nuclear FISH -Growing cell in culture is not needed, more rapid,sensitivity is higher
Refer the byte "FISH".